Folie-a-deux means ?
1. Delusion of persecution
2. Sharing of delusion
3. Delusion of double
4. None

Correct answer: 2. Sharing of delusion

Explanation: Ans. is 'b' i.e., Sharing of delusion It is also known as shared psychotic disorder or symbiotic psychosis. It is characterized by sharing of delusions between two person (Folie a deux) or rarely between more individuals (Folie a trois, Folie a quatre, Folie a famine). There is a dominant (active) person who induces delusions into the other (passive receptor or dependent person) -4 Dependent person accepts the delusion of dominant person. On separation of two, dependent person may give up his delusions, however the active (dominant) person often requires treatment